Antiseptic property of bleaching powder is due to ?
1. Hypochlorous acid
2. Hypochlorite
3. Chlorine
4. H+

Correct answer: 1. Hypochlorous acid

Explanation: Active component responsible for the disinfecting property A bleaching powder is hypochlorous acid ref baveja microbiology